Excessive eating of non-nutritive substances is called
1. Pica
2. Anorexia nervosa
3. Prune belly disease
4. Dyslexia

Correct answer: 1. Pica

Explanation: Pica involves repeated or chronic ingestion of non-nutritive substances, which includes plaster, charcoal, clay, wood, ashes, paint and earth.More commonly associated with autism:Family disorganizationPoor supervisionPsychologic NeglectPsychologic neglectGeophagia (eating of the earth) is associated with pregnancy and some culture(Refer: Nelson's Textbook of Pediatrics, SAE, 1st edition, pg no. 139)